Chemoattractants among the following are?
1. Histamine
2. Leukotriene B4 and C5a
3. Leukotriene C4 and C3a
4. Bradykinin

Correct answer: 2. Leukotriene B4 and C5a

Explanation: Ans. is 'b' i.e., Leukotriene B4 and C5a o Chemoattractant:- C5a (most potent), IL-8, LTB4, PAF, bacterial products, Lymphokine, Kallikrein.o C5a is the most potent chemoattractant